Non-caseating granuloma is characteristically seen in:
1. Syphilis
2. Sarcoidosis
3. Tuberculosis
4. Cat-scratch disease

Correct answer: 2. Sarcoidosis

Explanation: In granulomas associated with certain infectious organisms (most classically Mycobacterium tuberculosis), a combination of hypoxia and free radical-mediated injury leads to a central zone of necrosis. Grossly, this has a granular, cheesy appearance and is therefore called caseous necrosis. Microscopically, this necrotic material appears as amorphous, structureless, eosinophilic, granular debris, with complete loss of cellular details. The granulomas in Crohn disease, sarcoidosis, and foreign body reactions tend to not have necrotic centers and are said to be non-caseating.